Epidemiological markers of Hepatitis - B is
1. HBs Ag
2. Anti - HBs
3. Anti HBc
4. HBe Ag

Correct answer: 1. HBs Ag

Explanation: (HBsAg) (177- Park 19th) (188-Park 20th) (563-Chakraborthy-Micro 2nd)HBsAg. Types are useful markers of epidemiology. These are eight antigenic types of HBs Ag* HBsAg - appearance of HBs Ag is the First evidence of infection, appearing before biochemical evidence of liver disease and persists throughout the clinical illness* Anti HBs Ag - signals recovery from HBV infection, noninfectivity and immunity* HBeAg - indicates viral replication and infectivity